Calcitonin is not given in which disease -
1. Paget's disease
2. Thyrotoxicosis
3. Hyperparathyroidism
4. Hypervitaminosis D

Correct answer: 2. Thyrotoxicosis

Explanation: Ans. is 'b' i.e., Thyrotoxicosis Calcitonino Calcitonin is a polypeptide hormone is produced by parafollicular 'C' cell of thyroid (major source),o Parathyroids, thymus and cells of medullary carcinoma of thyroid also contain calcitonin,o Synthesis and secretion of calcitonin is regualted by plasma Ca++ concentration itself - rise in plasma Ca++ increases, while fall in plasma Ca++ decreases calcitonin release.o ActionsIt inhibits bone resorption by direct action on osteoblasts.Calcitonin inhibits proximal tubular calciun and phosphate reabsorption by direct action on kidney,o UsesHypercalcemic states - Hyperparathyroidism, hypervitaminosis D, osteolytic bony metastasis and hypercalcemia of malignancy.Postmenopausal osteoporosis.Paget's disease.